All of the following belong to the steroid receptor superfamily except-
1. Vit D3 receptors
2. Thyroid receptors
3. Retinoid receptors
4. Epinephrine receptors

Correct answer: 4. Epinephrine receptors

Explanation: Ans. is d i.e., Epinephrine receptors oRT All steroidal hormone (glucocorticoids, mineralocorticoids, androgens, estrogens, progesterone), thyroxine, vit D and vit A (retinoid) function through transcription factor.